First compound added in Grand rapids was:
1. Calcium fluoride.
2. Sodium fluoride
3. Stennous fluoride.
4. APF

Correct answer: 2. Sodium fluoride